Maximum relative risk attributed by obesity to which condition ?
1. Hypertension
2. CHD
3. DM
4. Cancer

Correct answer: 3. DM

Explanation: Ans. is 'c' i.e., DM "Recently; a meta-analysis of 89 studies examining the relative risk of obesity-related co-morbidities showed that the strongest association was with type 2 diabetes mellitus ""Proportion of type II diabetes that is attributable to obesity was approximately 61% whereas the proportion of CHD that wast attributable to obesity was approximately 17% "Relative risk & Population attributable risk (PAR) attributable to obesityObesity comorbidityRelative riskPAR (%)Type II DM27.661CHD3.517.3Hypertension3.917Gallbladder disease3.230Breast Cancer1.311Endometrial Cancer2.034Colon Cancer1.511.3